A Full Term Baby, exclusively breast fed, at the end of 1 week was passing Golden yellow stools and was found to have adequate hydration with normal systemic examination. The weight of the baby was just same as it was at birth. The pediatrician should now advice
1. Give oral solution with breast feeding
2. Start tap feeding
3. Investigate for lactic acidosis
4. Reassure the mother that nothing is abnormal

Correct answer: 4. Reassure the mother that nothing is abnormal

Explanation: Sometimes the physiological changes may vary from different children,proper reassurance to mother is very important. Reference: GHAI Essential pediatrics, 8th edition